In physiological jaundice in term infants, serum bilirubin does not generally exceed:
1. 2 mg%
2. 5 mg%
3. 15 mg%
4. 10 mg%

Correct answer: 3. 15 mg%

Explanation: Physiological jaundice: the peak serum bilirubin level does not exceed 15mg/dl.